Exanthens are caused by all except -
1. Malaria
2. Typhoid
3. Measles
4. Rubella

Correct answer: 1. Malaria

Explanation: Exanthems are caused by all except malaria.